Blood loss in class II hemorrhagic shock is
1. < 15%
2. 15-30%
3. 30-40%
4. > 40%

Correct answer: 2. 15-30%

Explanation: Ans. (b) 15-30%Ref: Sabiston 20th Page 50* Class 1 <15% blood loss* Class 2: 15- 30 % blood loss* Class 3: 30 -40% blood loss* Class 4: > 40% blood loss